Superior orbital fissure syndrome is frequently caused by:
1. Carotid aneurysms
2. Meningioma
3. Arachnoiditis
4. All of the above

Correct answer: 4. All of the above

Explanation: Ans. All of the above